Penile penetration of the anus (anal intercourse) of a man, a woman, or an animal is : -
1. Cunnilingus
2. Anilingus
3. Buggery
4. Sodomy

Correct answer: 3. Buggery

Explanation: Buggery
Lay term used to refer to penile penetration of the anus (anal intercourse) of a man, a woman, or an animal.
Sodomy
Anal intercourse between humans only.
Reference – Clinical Forensic Medicine by Margaret M. Stark - 101